Which of the following antifungal agent is used topically?
1. Griesofiilvin
2. Itraconazole
3. Voriconazole
4. Nystatin

Correct answer: 4. Nystatin

Explanation: Ans. is 'd' i.e., Nystatin Topically used antifungals1. Imidazoles - miconazole, ketoconazole, clotrimazole, econazole, sertoconazole etc2. Triazoles - fluconazole3. Polyenes - nystatin, candicin, hamycin, natamycin & amphotericin B4. Allylamines - naftifine 8c terbinafine5. Benzylamine - butenafine6. Morpholines - amlorofine7. Others - benzoic acid, tolnaftate, ciclopirox olamine, selenium sulphide, resorcinol, gention violet, Castellani's paint